Low dose radiotherapy is given for:
1. Seminoma
2. Malignant melanoma
3. Osteosarcoma
4. Chondrosarcoma

Correct answer: 1. Seminoma

Explanation: Ans. Seminoma